In classical Mendelian inheritance, autosomal dominant disease characterized by:
1. Complete penetrance
2. Parents are unaffected
3. Very early onset in life
4. Variable expressivity

Correct answer: 4. Variable expressivity

Explanation: Autosomal dominant disease -Variable expressivity -Incomplete penetrance -Both parents are affected -No skipping of generations